Free radicals are chemical species which have
1. Single unpaired electron in an outer orbit
2. Single paired electron in an outer orbit
3. Double unpaired electron in an outer orbit
4. Double paired electron in an outer orbit

Correct answer: 1. Single unpaired electron in an outer orbit